Anterior part of AV groove contains -
1. Left anterior descending artery
2. Coronary sinus
3. Great cardiac vein
4. Right coronary artery

Correct answer: 4. Right coronary artery

Explanation: Ans. is 'd' i.e., Right coronary artery Grooves (sulci) of heart LAD - interventricular groove RCA- Atrioventricular groove. Note the following explanation Atrioventricular groove -The right coronary artery arises from the anterior aortic sinus of the ascending aorta and runs forward between the pulmonary trunk and the right auricle. It descends almost vertically in the right atrioventricular groove, and at the inferior border of the heart, it continues posteriorly along the atrioventricular groove to anastomose with the left coronary artery in the posterior interventricular groove. o Atria are separated by ventricles by atrioventricular Sulcus (atrioventricular groove, also called coronary sulcus). o It is divided into anterior and posterior parts. The right half of the anterior part is large and lodges right coronary artery. The left half of the anterior part is small and lodges circumflex branch of left coronary artery. B) Interventricular grooves o Right, and left ventricles are separated by interventricular grooves. o The anterior interventricular groove is nearer to the left margin of heart and contains anterior interventricular artery (also called left anterior descending artery). o The posterior interventricular groove is situated on diaphragmatic (inferior) surface. It contains posterior interventricular artery (continuation of RCA).